Which of the following is not a radiographic indication of systemic disease?
1. Change in mature tooth density
2. Change in cortical bone density
3. Change in the number of trabeculae
4. Change in overall bone shape and size

Correct answer: 1. Change in mature tooth density

Explanation: Because systemic disorders affect the entire body, the changes manifested in the appearance of the jaws in diagnostic images are usually generalized and often nonspecific, making it difficult to identify the diseases based on imaging characteristics alone. The general changes that can be seen in the jaws include the following:
1) Change in size and shape of the bone.
2) Change in the number, size, and orientation of trabeculae.
3) Altered thickness and density of cortical structures.
4) Increase or decrease in overall bone density.
Changes in the first three elements can result in a decrease or increase in bone density.
Oral radiology White and Pharaoh; 7th ed. Page no 452